Gallium and Indium added to Amalgam replace
1. Silver
2. Tin
3. Mercury
4. Zinc

Correct answer: 3. Mercury